Which of the following is a less useful diagnostic procedure in a case of acute haematemesis?
1. Barium meal
2. Endoscopy
3. Gastric content aspiration
4. Angiography

Correct answer: 1. Barium meal

Explanation: Ans. Barium meal